Chemoreceptor Trigger Zone is:
1. Pons
2. Lateral hypothalamus
3. Ventral hypothalamus
4. Area postrema

Correct answer: 4. Area postrema

Explanation: Area postrema